Dysguesia is side effect of
1. Captopril
2. Enalapril
3. Ramipril
4. Lisinopril

Correct answer: 1. Captopril

Explanation: Ans. a (Captopril). (Ref. Harrison's medicine, 16th ed., Table 230-8, Pg 1474)ADVERSE EFFECTS OF CAPTOPRIL =# Cough, Angioedema, Proteinuria, Taste changes, hypOtension, Pregnancy problems (fetal renal damage), Rash, Increased renin, Lower angiotensin II. Also hyperkalemia, Leukopenia>Pancytopenia, Urticarial rash and ARF in bilateral RASEducational point:# Fosinopril excreted more in bile than others.# Losartan is an angiotensin II receptor antagonist. It is not an ACE inhibitor and does not cause cough.